High resolution computed tomography of the chest is the ideal modality for evaluating -
1. Pleural effusion
2. Interstitial lung disease
3. Lung mass
4. Mediastinal adenopathy

Correct answer: 2. Interstitial lung disease

Explanation: HRCT is the investigation of choice for Interstitial lung disease (ILD). Principles of HRCT : Thin collimation (1-2 mm) High frequency reconstruction algorithm (Eg : Bone algorithm).